Which of the following conditions gives a positive Pathergy test?
1. Richter's disease
2. Behcet's disease
3. Ritter's disease
4. Erythema multiforme

Correct answer: 2. Behcet's disease

Explanation: The pathergy test is the hyper-reactivity of the skin to trauma. A skin trauma like needle prick will produce a papule or a pustule, surrounded by an erythematous reaction, at the site of the trauma. This curious phenomenon is almost unique to Behcet's syndrome. Behcet's syndrome is a chronic, relapsing, inflammatory disorder of unknown etiology that may involve the mucocuta- neous, ocular, genital, articular, vascular, CNS, and GI systems.